Branches of R.C.A. (Rt. Coronary aery):
1. Obtuse marginal
2. Acute marginal
3. Diagonal
4. All

Correct answer: 2. Acute marginal

Explanation: B. i.e. Acute marginal